Location and radiographic density make a talon cusp appear similar to:
1. Dilacerations
2. Concrescence
3. A supernumerary tooth
4. Dens in dente

Correct answer: 3. A supernumerary tooth